Which muscle has the phrenic nerve on its anterior surface?
1. Sternocleidomastoid
2. Anterior digastric
3. Superior belly of the omohyoid
4. Anterior scalene

Correct answer: 4. Anterior scalene

Explanation: The phrenic nerve lies on the anterior surface of the anterior scalene muscle. The nerve is held tightly against the surface of the muscle by the deep cervical fascia The roots of the brachial plexus and the subclavian artery pass posterior to the anterior scalene muscle and anterior to the middle scalene muscle.